Meconium is excreted by a new born till _______ day:
1. 2
2. 3
3. 6
4. 4

Correct answer: 2. 3

Explanation: The baby may pass meconium in utero or soon after birth, but all healthy newborn babies must evacuate within 24 hours of birth. During the first 2..3 days the baby passes black, tarry (like tar) 'meconium' stools which are followed by greenish (transitional) stools for the next 1 or 2 days.
The normal breastfed baby usually passes 4-8 semisolid sticky golden yellow stools everyday. Some babies may pass stools after each feed due to the 'exaggerated' gastrocolic reflex. The stools are often very small (at times like drippings of the birds) with normal consistency. The babies continue to gain weight.
Tar means a thick, sticky, brown to black liquid with a pungent odor, obtained by the destructive distillation of wood, coal, peat, shale, etc.